Lead aprons of ___ mm will reduce the intensity of scattered X -rays over ____ per cent and should be worn by all workers regularly associated with X-ray procedures.
1. 0.2 and 60
2. 0.3 and 70
3. 0.4 and 80
4. 0.5 and 90

Correct answer: 4. 0.5 and 90

Explanation: Lead aprons of 0.5 mm will reduce the intensity of scattered X -rays over 90 per cent and should be worn by all workers regularly associated with X-ray procedures.